In multiple myeloma there is proliferation of
1. Basophils
2. Eosinophils
3. Plasma cells
4. Neutrophils

Correct answer: 3. Plasma cells

Explanation: Mulple myeloma  Mulple myeloma is a plasma cell neoplasm characterized by involvement of the skeleton at mulple sites,
Plasma cells proliferate abnormally and the proliferated plasma cells infiltrate various organs, parcularly bone marrow,
but can also spread to lymph nodes and extranodal sites like skin,
 The proliferaon and survival of myeloma cells are dependent on several cytokines, IL-6 is parcularly important,
The neoplasc plasma cells secrete abnormally large amounts of immunoglobulin.
 The immunoglobulin secreted by neoplasc plasma cells are quiet different form the immunoglobulin normally present in the blood.
 The normal immunoglobulin consists of two heavy and two lights chains molecules and the producon of both chain is ghtly balanced.
 The immunoglobulin secreted in this condion may be : - Isolated light chain or heavy chain. May be an intact anbody molecule of any heavy chain subclass.
May be an altered anbody or fragment.